A 45-year-old woman complains of tingling in her hands and feet, 24 hours after removal of follicular thyroid carcinoma. Her symptoms rapidly progress to severe muscle cramps, laryngeal stridor, and convulsions. Which of the following laboratory findings would be expected in this patient prior to treatment?
1. Decreased serum calcium and decreased PTH
2. Decreased serum calcium and increased PTH
3. Increased serum calcium and decreased PTH
4. Increased serum calcium and increased PTH

Correct answer: 1. Decreased serum calcium and decreased PTH

Explanation: - Given clinical features point towards hypocalcemia resulted from hypoparathyroidism. HYPOPARATHYROIDISM - Most common cause is surgical resection of parathyroids as a complication of thyroidectomy. -Parathyroid levels falls-Hypocalcemia - Hypocalcemia- | Neuromuscular excitability - From mild tingling in hands & feet to severe muscle cramps, laryngeal stridor & convulsions. - Neuropsychiatric manifestations- Depression, Paranoia & Psychoses. Increased PTH in setting of parathyroid adenoma or paraneoplastic syndrome is associated with hypercalcemia (choice D).